Ramping can be done for a
1. one wall defect
2. two wall defect
3. three wall defect
4. four wall defect

Correct answer: 1. one wall defect